Osteosarcoma commonly affects:
1. Metaphysis
2. Diaphysis
3. Epiphysis
4. None of the above

Correct answer: 1. Metaphysis

Explanation: Ans. A: Metaphysis Metaphysis-common site for osteosarcoma Diachysis- common site for ewing's tumor Epiphysis- common site for osteoclastoma